Lipid peroxidation as a part of ageing and injury of cells is:
1. Free radical theory
2. Apoptosis theory
3. Enzyme cascade theory
4. Cell destruction theory

Correct answer: 1. Free radical theory